Spanish windlass is practiced in which form of strangulation:
1. Bansdola
2. Garroting
3. Throttling
4. Mugging

Correct answer: 2. Garroting

Explanation: Garroting is a form of strangulation. In lonely places, robbers use this method to kill travelers & rob them. SPANISH METHODQ*** It is a method of judicial execution Qin Spain. Spanish windlass Q- is a type of Garroting It consists of iron collar placed around the neck & tightened by screw for strangulation.